Median nerve injury at wrist, is commonly tested by:-
1. Contraction of abductor pollicis brevis
2. Contraction flexor pollicis brevis
3. Contraction opponens pollicis
4. Loss of sensation on palm

Correct answer: 1. Contraction of abductor pollicis brevis

Explanation: Median nerve injury at wrist is commonly subjected to pen test. This test is for the function of abductor pollicis brevis (Draw thumb forwards at right angle to palm) supplied by median nerve. Pen test A pen is kept at a level higher than the thumb and the pt is asked to touch the tip of the pen